A drug effect that is produced by therapeutic doses of both timolol and amiodarone is blockade of:
1. Cardiac Na+ channels
2. Cardiac K+ channels
3. Beta adrenoceptors
4. Alpha-adrenoceptors

Correct answer: 3. Beta adrenoceptors

Explanation: Amiodarone has wide spectrum of antiarrhythmic actions. It acts by all the four mechanisms: blockade of Na+ channels blockade of b receptors blockade of K+ channels blockade of Ca2+channels. Timolol is a b blocker. Therefore, common action of these two drugs is inhibition of b-receptors.